Call exner bodies are seen in:-
1. Granulosa cell tumor
2. Yolk sac
3. Dysgerminoma
4. Embryonnal carcinoma

Correct answer: 1. Granulosa cell tumor

Explanation: Granulosa cell tumor is sex cord tumor these are hormone secreting tumor granulosa cell tumor secrete estrogen they can occur in any age and the main clinical feature depends on the estrogenic activity of the tumor associated with pain and abdominal swelling. In the postmenopausal patient the most common symptom is postmenopausal bleeding. The uterus shows myohyperplasia and cystic glandular hyperplasia similar to metropathia. On HPE - call - exner bodies seen,* The entire slide of HPE of granulosa cells tumor will be overcrowded will cells * The cells are arranged either in cords or in trabeculae and are often surrounded by structures hyaline tissue, which resemble the glass membrane of atretic follicle.* These small cyst like spaces are characteristics feature of the granulosa cells of the graafian follicle Tumor marker - inhibin.